A 30 year old farmer presents with the features of high fever, painful inguinal lymphadenopathy, vomiting and diarrhoea with hypotension. Which of the following stain will be helpful in making the diagnosis?
1. Wayson's stain
2. Neisser stain
3. Alberts stain
4. McFadyean's stain

Correct answer: 1. Wayson's stain

Explanation: Wayson's stain is a basic fuchsin - methylene blue, ethyl alcohol - phenol microscopic staining procedure. It is a modified methylene blue stain used for diagnosing bubonic plague. Giemsa / Wayson stain revels the typical safety- pin apperance of the organism. In Bubonic plague the infected flea bite is usually on the legs and is marked by a small pustule or ulceration. More often the lymph nodes draining the area of the flea bite become affected and the resulting adenitis produces intensely painful swellings or buboes in the inguinal axillary or cervical regions depending upon the position of the bite. Ref: ALevinson W. (2012). Chapter 20. Gram-Negative Rods Related to Animal Sources (Zoonotic Organisms). In W. Levinson (Ed), Review of Medical Microbiology & Immunology, 12e.